In Procedentia which of the following is true?
1. Uterus and cervix in vagina
2. Uterus in vagina cervix outside the introitus
3. Both uterus and vagina outside the introitus
4. None of the above

Correct answer: 3. Both uterus and vagina outside the introitus

Explanation: Ans is 'c' i.e., Both uterus and vagina outside the introituso Defined as protrusion of the pelvic organs into or out of the vaginal canal.o External os lies at the level of the ischial spine and internal - os at the upper border of the pubic symphysis. Any descent of the uterus from these levels is called prolapse.o The only true hernia of the pelvis is the enterocele or rectocele because the peritoneum herniates with the bowelo It happens mostly in postmenopausal and multiparous women. Nulliparous prolapse is seen in 2% and vault prolapse in 0[?]5% following hysterectomy.Classification of prolapseAnterior vaginal wallo Upper two-third - CystoceleCystourethroceleo Lower one-third - UrethrocelePosterior vaginal wallo Upper one-third - Enterocele (pouch of Douglas hernia)o Lower two-third - RectoceleUterine descenti) Descent of the cervix into the vagina.ii) Descent of the cervix up to the introitus.iii) Descent of the cervix outside the introitus.iv) Procidentia - All of the uterus outside the introitus.